Tomatoes are rich in:
1. Oxalic acid
2. Citric acid
3. Acetic acid
4. Formic acid

Correct answer: 2. Citric acid

Explanation: Citric acid